Posterior columns sensations in lower limbs are lost in
1. Vitamin A deficiency
2. Vitamin B12 deficiency
3. Vitamin C deficiency
4. Vitamin D deficiency

Correct answer: 2. Vitamin B12 deficiency

Explanation: Refer KDT 6/e p589 Deficiency of vitamin B12 leads to Megaloblastic anemia which is indistinguishable from folic acid deficiency Deficiency also have manifestations related to loss of myelin like Subacute combined degeneration of spinal cord